A 20-year-old man is brought to the emergency room after rupturing his spleen in a motorcycle accident. His blood pressure on admission is 80/60 mm Hg. Analysis of arterial blood gasses demonstrates metabolic acidosis. This patient is most likely suffering from which of the following conditions?
1. Acute pancreatitis
2. Cardiogenic shock
3. Hypersplenism
4. Hypovolemic shock

Correct answer: 4. Hypovolemic shock

Explanation: Hypovolemic shock is secondary to a pronounced decrease in blood or plasma volume, caused by the loss of fluid from the vascular compartment. Hemorrhage, fluid loss from severe burns, diarrhea, excessive urine formation, perspiration, and trauma are major mechanisms of fluid loss that can lead to hypovolemic shock. Cardiogenic shock (choice B) is caused by myocardial pump failure. Septic shock (choice E) is improbable in this setting.Diagnosis: Hypovolemic shock